Which one of the following is false regarding single complete denture?
1. Harmonious occlusion is diﬃcult to achieve
2. Fixed position of natural teeth in opposing arch makes artiﬁcial teeth arrangement  diﬃcult.
3. Mandibular single complete dentures are easier to fabricate than maxillary single  complete dentures.
4. Natural teeth often abrade the artiﬁcial teeth

Correct answer: 3. Mandibular single complete dentures are easier to fabricate than maxillary single  complete dentures.

Explanation: Single mandibular complete denture poses a greater challenge to the operator, as its fabrication is complicated by severe ridge resorption and reduced mucosal support area.